"Motor cyclist" fracture among the following
1. Hinge fracture of base of skull
2. Ring fracture of base of skull
3. Depressed fracture of skull
4. Comminuted fracture of skull

Correct answer: 1. Hinge fracture of base of skull

Explanation: Hinge' fracture (Motorcyclist fracture) occurs when the linear fracture passes across the middle cranial fossa, separating the skull base into 2 halves, and may be caused by a heavy blow to the side of the head (e.g. in motorcycle accidents). Ref - Krishnan Vij 5th edition pg 300